Tuberculosis verrucosa cutis is a form of:
1. Tuberculid
2. Primary tuberculosis
3. Postprimary tuberculosis with good resistance
4. Post primary tuberculosis with poor resistance

Correct answer: 3. Postprimary tuberculosis with good resistance

Explanation: C i.e. Postprimary tuberculosis with good resistance: Tuberculosis verrucosa cutis is postprimary tuberculosis with good resistaneQ.